False about unilateral Recurrent Laryngeal Nerve palsy
1. Has normal speech
2. No risk of Aspiration
3. Difficulty in Breathing
4. Conservative management

Correct answer: 3. Difficulty in Breathing